Mechanism of action of actinomycin D is ?
1. Inhibits DNA dependent RNA synthesis
2. Activates DNA dependent RNA synthesis
3. Inhibits RNA dependent DNA synthesis
4. Activates RNA dependent DNA synthesis

Correct answer: 1. Inhibits DNA dependent RNA synthesis

Explanation: Ans. is 'a' i.e., Inhibits DNA dependent RNA synthesis The anticancer antibiotics are Actinomycin - D (Dactinomycin) Daunorubicin (Rubidomycin) Mitomycin C Doxorubicin Mitoxantrone Mithramycin (plicamycin) Bleomycins These anticancer, antibiotics obtained from micro-organisms and have prominent antitumour activity. Mechanism of action : They are intercalated between DNA strands and interfere with its template function. Actinomycin `D' inhibits DNA dependent RNA synthesis. Bleomycin cause DNA breakage and free radical formation . Doxo-and daunorubicin inhibit Topoisomerase I & II. Mitomycin acts like alkylating agents. Mitoxantrane binds to DNA to produce strand breakage and inhibits both DNA & RNA synthesis. Remember All antitumor antibiotics are cell cycle nonspecific except for bleomycin which acts in G2 phase.